A patient at 8 weeks pregnancy attends OPD with complains of excessive vomiting, nausea and inability to tolerate orally with decreased frequency of urination. Management is?
1. Pyridoxine + doxylamine with plenty of oral fluids
2. Admit, IV fluids, IV anti emetics, Input/ Output charting
3. Inj hydrocortisone
4. Inj phenargan

Correct answer: 2. Admit, IV fluids, IV anti emetics, Input/ Output charting

Explanation: Patient is a case of hyperemesis gravidarum with severe dehydration that has led to oliguria and is also unable to tolerate orally so her fluid requirement cannot be met by oral fluids. Therefore patient needs hospitalization for IV fluid therapy and input output charting till her urine output and other signs of dehydration improve.